Which of the following drug is associated with tachyphylaxis ?
1. Dopamine
2. Ephedrine
3. Haloperidol
4. Propranolol

Correct answer: 2. Ephedrine

Explanation: Indirectly Acting Sympathomimetics These drugs act by increasing the release of NA in the synaptic cleft or by inhibiting the reuptake of NA. These agents enter the neuronal cytoplasm by the same transporter that is responsible for the reuptake of NA. From the cytoplasm, these drugs enter the storage vesicles and displace and release the stored NA (because each vesicle has fixed storage capacity). Released NA activates adrenergic receptors. On repeated dosing at short intervals, tachyphylaxis (rapid development of tolerance) is seen with these drugs. Examples of drugs acting by displacement include: Tyramine Ephedrine Pseudoephedrine Amphetamines